Crocodile skin is seen in:
1. Drowning
2. High voltage Electric burns
3. Neck ligature
4. High temperature water burns

Correct answer: 2. High voltage Electric burns

Explanation: Ans. (b) High voltage Electric burnsRef: The Essentials ofFSM by K.S. Narayan Reddy 31st ed. / 308-309ELECTRICAL INJURIES* JOULE BURN: contact electrical and endogenous burn.* CROCODILE FLASH BURN: high voltage burn.* Multiple lesions due to 'ARC EFFECT'.* Cause of Death- ventricular fibrillation.* CURRENT PEARLS AND WAX DROPS seen on autopsy.